Incubation period helps in determining all except?
1. Period of isolation
2. Period of quarantine
3. Identification of source of infection
4. Immunization

Correct answer: 1. Period of isolation

Explanation: Ans. is 'a' i.e., Period of isolation Incubation period is useful for : - i) Tracing the source of infection and contacts. ii) Period of surveillance or quarantine iii) Immunization iv) Identification of point source or propagated epidemics v) Estimating the prognosis of a disease.